Ideal hearing aid for patient with anotia is
1. Incanal
2. Bone anchored hearing aid
3. Vestibular
4. Transcutaneous

Correct answer: 2. Bone anchored hearing aid

Explanation: Anotia ("no ear") describes a rare, congenital deformity, that involves the complete absence of the pinna, the outer projected portion of the ear, and narrowing or absence of the ear canal. A bone-anchored hearing aid is an implantable device that allows the listener to hear by bone conduction without the inconvenience of a traditional bone conduction hearing aid. It's more comfortable, and the sound quality is better, partly because the device stays in place. Unlike a middle ear implant, which requires a normally functioning middle ear, this type of hearing aid is typically used by listeners who have conductive or mixed hearing loss. Bone conduction hearing aids have traditionally been used by people born without ear canals or with small, misshapen ears that can't support conventional hearing aids, or by people who have chronic middle ear disease that's aggravated by wearing a hearing aid or earmold in the ear canal (for example, people with draining ears).